Increased capillary permeability in OHSS is due to all except:
1. Vascular endothelial growth factor
2. Angiotensin II
3. Oestrogen
4. Inhibin

Correct answer: 4. Inhibin

Explanation: Inhibin does not increase capillary permeability in OHSS.